Cherry red color of hypostasis is seen in-
1. CO poisoning
2. H2SO4
3. HNO3
4. Burns

Correct answer: 1. CO poisoning

Explanation: Cherry red color of blood is characteristically found in CO poisoning and in about 50% cases in cyanide/HCN poisoning (in 50% cases of cyanide poisoning it is bright red colored).